All of the following are WHO classified Myelodysplastic Syndromes except:
1. CML
2. Refractory anemia with excess blasts
3. Refractory anemia with ringed sideroblasts
4. Refractory anemia

Correct answer: 1. CML

Explanation: The MDS are a heterogeneous group of hematologic disorders broadly characterized by both: (1) cytopenias due to bone marrow failure and (2) a high risk of development of AML. WHO classification of MDS is as follows Refractory cytopenia with unilineage dysplasia - this includes refractory anemia, refractory neutropenia, or refractory thrombocytopenia RARS (Refractory Anemia with ringed sideroblasts) RAEB (Refractory Anemia with excess Blasts) Refractory cytopenia with multilineage dysplasia MDS with isolated deletion of 5q MDS, unclassifiable Childhood MDS